A Hemophiliac patient has rheumatoid arthritis. Which drug might be prescribed to relieve the pain?
1. Acetaminophen
2. Acetylsalicylic acid
3. Phenylbutazone
4. Naproxen

Correct answer: 1. Acetaminophen